Pulmonary function abnormalities in interstitial lung diseases include all of the following except:
1. Reduced vital capacity
2. Reduced FEV1/FVC ratio
3. Reduced diffusion capacity
4. Reduced total lung capacity

Correct answer: 2. Reduced FEV1/FVC ratio

Explanation: B i.e. Reduced FEV1/FVC ratio